Which of the following marker is used to diagnose rhabdomyosarcoma -
1. Desmin
2. Synaptophysin
3. Myeloperoxidase
4. Cytokeratin

Correct answer: 1. Desmin

Explanation: . Desmin